Mistuda reaction is read at
1. 21st day
2. 10th day
3. 3rd day
4. 45th day

Correct answer: 1. 21st day